Maximum influence of local milieu on ionization is on
1. Histidine
2. Protine
3. Glycine
4. Lysine

Correct answer: 1. Histidine

Explanation: Depending upon localized pH of its environment (local milieu), histidine can serve both proton donor and acceptor.